A patients present with dogs bite in the palm, fingers and oozing of blood on the neck regions, belongs to which class of the exposures -
1. Class I
2. Class II
3. Class III
4. None

Correct answer: 3. Class III

Explanation: Category 3 includes :- single or multiple transdermal bites or scratches ,licks on broken skin, contamination of mucous membrane with saliva from licks, contacts with bats Reference; Park's Textbook of preventive and social medicine, 24th edition.Pg no. 296